Sonu, a 15 years old girl, a regular swimmer presents with sudden onset of pain in abdomen, abdominal distension and fever of 39deg C and obliteration fort the liver dullness. Most probable diagnosis is ?
1. Ruptured typhoid ulcer
2. Primary bacterial peritonitis
3. Ruptured ectopic pregnancy
4. UTI with PID.

Correct answer: 1. Ruptured typhoid ulcer

Explanation: Ans. is 'a' ie. Ruptured typhoid ulcer The clue to this answer is presence of this clinical sign in the pt. --) Obliteration of liver dullness. Obliteration of liver dullness : Right mid-axillary line is percussed from above downwoards. The percussion note will be resonant in the upper part of the mid-axillary line. At the upper border of the liver the resonant note in replaced by the dull note. If the liver dullness is replaced by a resonant note it indicates presence of free gas under the diaphragm as occurs in the perforation of the gastro-intestinal tract." - S.Das Manual, 4/e, p344 No other condition is able to cause obliteration of liver dullness.